WHICH STATEMENT IS TRUE ABOUT CAFFEY'S DISEASE IS ?
1. Renal osteodystrophy
2. Infantile cortical hyperostosis
3. Osteomyelitis of jaw in children
4. Chronic osteomyelitis in children

Correct answer: 2. Infantile cortical hyperostosis

Explanation: CAFEYS DISEASE : Infantile Cortical Hyperostosis is a rare disease of infants and children. Usually starts during the first few months of life with painful swelling over the tubular bones and mandible Child may be feverish and irritable,refusing to move the affected limb X-rays characterically show periosteal new-bone formation resulting in thickening of the affected bone. After a few months the local features may resolve spontaneously,only to reappear somewhere else. Flat bones such as the scapula and cranial vault,may also be affected. Other causes like osteomyelitis and scurvy must be excluded. The cause of Caffey's disease is unknown but a virus infection has been suggested. Antibiotics are sometimes employed,it is doubtful whether they have any effect. REF:Apley's 9th edition,page no.42